At 12 week pregnancy "CRL" is:
1. 60 mm
2. 100 mm
3. 120 mm
4. 250 mm

Correct answer: 1. 60 mm

Explanation: Ans. (a) 60 mmRef. DC Dutta 7th ed./ 41; William's Obstetrics 22nd ed./ 91* By the end of the 12th week of pregnancy, when the uterus usually is just palpable above thesymphysis pubis, the crown-rump length of the fetus is 6 to 7 cm i.e. 60 to 70 mm.* Please refer to above explanation for more details.